Chronic non- spherocytic hemolytic anemia comes under which class of G6PD deficiency?
1. Class I
2. Class II
3. Class III
4. Class IV

Correct answer: 1. Class I

Explanation: Class I - severely G6PD deficient associated with chronic non - spherocytic hemolytic anemia.